Treatment of choice for choriocarcinoma is:
1. Hysterectomy
2. Radiotherapy
3. Conservative
4. Chemotherapy

Correct answer: 4. Chemotherapy

Explanation: Ans: D i.e. Chemotherapy Management of choriocarcinoma Hysterectomy may be offered to decrease the number of treatments required for the patients who do not desire future fertility Multiple modality approach (chemotherapy, surgery, and radiation) or multiagent chemotherapy (etoposide, methotrexate, actinomycin-D, cyclophosphamide, and vincristine) is utilized for poor prognosis metastatic GTT Single agent chemotherapy (methotrexate-commonly used, actinomycin-D) cures more than 90and of patients of non-metastatic gestational trophoblastic tumour/ GTT